Submandibular gland is supplied by:
1. Lingual artery
2. Facial artery
3. Submandibular artery
4. Inferior alveolar artery

Correct answer: 2. Facial artery